True about protease inhibitors are all EXCEPT :
1. Acts as a substrate for P–glycoprotein (P–gp) and action is mediated by MDR1 gene
2. Undergo hepatic oxidative metabolism
3. Protease inhibitors interfere with metabolism of several drugs
4. Saquinavir causes maximum induction of CYP3A4

Correct answer: 4. Saquinavir causes maximum induction of CYP3A4